Which among the drugs given below, does NOT act by protease inhibition?
1. Ritonavir
2. Saquinavir
3. Nelfinavir
4. Zanamivir

Correct answer: 4. Zanamivir